Watershed area between SMA and IMA which commonly result in ischemia is
1. Hepatic flexure
2. Splenic flexure
3. Rectosigmoid Jn.
4. Ileocolic In.

Correct answer: 2. Splenic flexure

Explanation: Splenic flexure [Ref: Harrison 17/e p1910; http://www.up.ac.za/dspace/bitstream/2263/4096/1/Van+Tonder_Anatomical(2007).pdfThere are several weak points in the colonic blood supply, known as watershed areas, which result from incomplete anastomoses of the marginal arteries. These watershed areas are more vulnerable to ischemic injury than other parts of the colon. The two most common points are:- Griffith's point at the splenic flexure and- Sudeck's point at the rectosigmoid junction.Splenic flexure is the watershed territory between SMA and IMA.Rectosigmoid junction is the watershed territory between IMA and the internal iliac artery.